Darling disease is caused by
1. Histoplasma
2. Candida
3. Cryptococcus
4. Rhizopus

Correct answer: 1. Histoplasma

Explanation: Histoplasmosis is described by Darling in 1905, so-called Darlings disease. Ref: Textbook of Microbiology, Ananthanarayan and Paniker; 9th edition